Blastocyst implantation close to internal os causes
1. Placenta previa
2. Placenta percreta
3. Placenta increta
4. Abruptio Placenta

Correct answer: 1. Placenta previa

Explanation: A i.e. Placenta previa- When the placenta is implanted partially or completely over the lower uterine segment, over and adjacent to the internal os, it is called placenta previa